According to Mental Health Care Act, 2017, the punishment for suicide attempt is:
1. 1 year imprisonment
2. 3 year imprisonment
3. 5 year imprisonment
4. None of the above

Correct answer: 4. None of the above

Explanation: Mental Health Care Act, 2017 Mental health establishment Everyone has the capacity to make mental healthcare and treatment decisions. Advanced directive( Patient has the right to choose about the treatment options and from whom he should recieve the treatment) Nominated representative Ban on direct ECT(ECT done directly without giving anesthesia or muscle relaxant) Ban on ECT in minors Ban on psychosurgery Decriminalization of suicide